In rabies, human diploid cell culture vaccine for post-exposure vaccination is given on the following days-
1. 0, 7, 28 then booster dose in 90 days
2. 0, 7, 28 then booster dose in 2 years
3. 0, 3, 7, 14, 28 then booster dose in 90 days
4. 0, 3, 7 and booster dose in 90 days

Correct answer: 3. 0, 3, 7, 14, 28 then booster dose in 90 days